All the following are features of cerebellar disease except:
1. Intention tremors
2. Past pointing
3. Hypertonia
4. Ataxia

Correct answer: 3. Hypertonia

Explanation: Answer is C (Hypertonia): Hypotonia is a feature of cerebellar disease (not Hypertonia).